Pain insensitive structure in brain is
1. Falx cerebri
2. Dural she ath surrounding vascular sinuses
3. Middle meningeal artery
4. Choroid plexus

Correct answer: 4. Choroid plexus

Explanation: Pain Insensitive structures in Brain :Brain parenchymaEpendymaChoroid plexusPia matterArachnoidDura over convexity of skull ( Dura around vascular sinuses and vessels is sensitive to pain)Pain Sensitive structures in Brain :Cranial venous sinuses with afferent veinsArteries at base of brain and arteries of dura including middle meningeal artery.(Ref: Gray's anatomy, page 404)